Organophosphates bind to
1. Anionic site of AChEs
2. Esteratic site of AChEs
3. Ach
4. None

Correct answer: 2. Esteratic site of AChEs

Explanation: (Ref: KDT 6/e p99-100) The active region of Acetylcholinesterase (AChE) has two sites i.e. an anionic site and an esteratic site. Anticholinesterase poisoning like Organophosphate compounds binds to esteratic site of AChE.